Which one of the following is not a risk factor for Post Partum Haemorrhage (PPH)?
1. Anemia
2. Grandmultipara
3. APH
4. Small for date baby

Correct answer: 4. Small for date baby

Explanation: The World Health Organization (WHO) has defined PPH as the post partum loss of greater than 500 ml of blood after delivery. The major aetiological factors of PPH are uterine atony, retained placental tissues, membranes or blood clots, genital tract trauma, and coagulation abnormalities. Other risk factors for PPH include placental abruption, placenta praevia, antepartum haemorrhage, pre-eclampsia, obesity, primigravidity, chorioamnionitis, prolonged rupture of membranes, fibroid uterus, previous caesarean delivery, prolonged labour, and prior PPH. Small for date baby is not a risk factor.